Which of the following mucolytic contains free sulphydryl group
1. Guanfacine
2. Ambroxal
3. Carbocistene
4. N-Acetyl cysteine

Correct answer: 4. N-Acetyl cysteine